Which of the following countries was the first to institute compulsory sickness insurance?
1. USA
2. England
3. France
4. Germany

Correct answer: 4. Germany

Explanation: Ans. is 'd' i.e., Germany